Anterior diaphragmatic hernia is through
1. Oesophageal opening
2. Paraesophageal opening
3. Foramen of morgagni
4. None

Correct answer: 3. Foramen of morgagni

Explanation: Anterior diaphragmatic hernia occurs through the space between the xiphoid and costal origin of the diaphragm or foramen of MorgagniB D CHAURASIA'S HUMAN ANATOMY UPPER LIMB THORAX-VOLUME-1 SIXTH EDITION-Page no,334